DNA or RNA fragment which is radioactive or chemically labile to detect a specific fragment?
1. Probe
2. Okazaki fragment
3. Antibody
4. Epitope

Correct answer: 1. Probe

Explanation: Probes are generally pieces of DNA or RNA labeled with a 32P-containing nucleotide--or fluorescently labeled nucleotides The probe must recognize a complementary sequence to be effective.Ref: Harper 27e, page no: 456